All the species of HPV commonly are associated with high malignant potential causing cervical cancer except?
1. HPV 16
2. HPV 6
3. HPV 31
4. HPV 18

Correct answer: 2. HPV 6

Explanation: HPV 16,18,31,33 -High risk strains - cause Ca Cervix HPV 6,11 (HPV 6 > HPV 11) - Low risk strains - cause Condyloma Acuminata (Genital was) Condyloma Acuminata is highly infectious. Most commonly acquired through sexual contact. Characteristics: Pointed, finger like masseson the genitalia. Treatment: Imiquimod Physical treatment Cryotherapy:This method uses liquid nitrogen to freeze the abnormal areas. Electrocautery:Electrical current is used to burn the abnormal areas.